Pick's body in Pick's disease is -
1. Tau protein
2. Alpha synuclein
3. Beta synuclein
4. A (3 amyloid

Correct answer: 1. Tau protein

Explanation: Ans. is 'a' i.e., Tau protein Tau proteino It is a microtubule associated protein present in the neurons (or nerve cells).o The exact role of Tau protein is not known, but it is not essential for the mammalian development.o However in pathological situations Tau may be hyperphosphorylaied and assembled in an aberrant way.o As a consequence of these modifications, neural toxicity auguments resulting in the appearance of neurological disorders mainly dementias which are collectively known as taupathies.o Different types of neurons are damaged in different taupathies.Taupathies includeso Alzhiemer s diseaseo Corticobasal degenerationo Down s syndromeo Frontotemporal dementiao Pick's diseaseo Postencephalitic parkinsonismo Progressive supranuclear palsyPick's diseaseo Pick's disease was earlier known as Frontotemporal dementia.o Frontotemporal dementia describes a clinical syndrome associated with shrinking of the frontal and temporal anterior lobes of the brain.o Frontotemporal dementia was originally known as pick s disease.o But the name and classification of frontotemporal dementia has been a topic of discussion for over a century.The current designation of the syndrome groups together three diseaseso Pick s diseaseo Primaryprogressive aphasiao Sementic dementiaSymptoms of the Frontotemporal dementias fall into two categories.Changes in behaviourProblems with languagePick's diseaseo In Picks disease there is progressive destruction of nerve cells in the brain,o This disease is characterized by the presence of Pick bodies in the neurons.o Pick bodies are seen inside the nerve cells, (known as Pick cells).o "Pick bodies and pick cells contain an abnormal form of protein called Tauo This protein is found in all nerve cells.But in Picks disease people have an abnormal amount or type of this protein i.e., It is present in Hyperphosphorylated Tau.o The picks bodies are found in several different places in the brain including the dentate gyrus, the pyramidal cells of corpus callosum and subiculum o f the hippocampus.Macroscopic pathology of Pick 's disease -o Macroscopic atrophy of temporal or frontal lobe.o Characteristic preservation of the first temporal gyrus, traverse gy-rus and Ammon s horn.o Primary degenerative changes in the cortical gray matter with concomitant involvement in the corresponding white matter.o Neuronal depletion accentuated in the superficial cortical layers,o Occasional presence of ballooned neurons.o Absence of atherosclerosis, inflammatory changes.INCLUSION-BASED CLASSIFICATION OF NEURODEGENERATIV E DISEASES|||||NeurofibrillarytanglesLewy bodiesTau positive neuronal and/or glial inclusionsUbiquitin-positive glial or neuronal inclusion (Alpha synuctein proteinjDiseases lackingcytoplasmic inclusions(PUREL YNEURONAL)o Alzheimer's diseaseo Senile dementia with tangleso Progressive supranu -clear palsyo Corticobasal degenerationo Parkinson s diseaseo Dementia with Lewy bodieso Botloaned neuronso Corticobasal degenerationo Alzheimer's diseaseo Corticobasal degenerationo Progressive supranuclear palsyo Pick's diseaseo Dementia with grainso Frontotemporal dementia linked to chromosome 17o Parkinson-dementia complex of Guamo Senile dementia with tangleso Multiple syterns atrophy (glial cytoplasmic inclusions)o Striatonigral degenerationo Olivopontocerebellar atrophyo Shy-Drager syndromeo Motor neuron diseases (neuronal inclusions}o Huntington s diseaseo Olivopontocerebellar atrophieso Friedreich's ataxiao Dentatorubropalli- doluysian atropyo Haliervorden- Spatz disease